Mature defence mechanism is seen in:
1. Altruism
2. Repression
3. Regression
4. None

Correct answer: 1. Altruism

Explanation: A i.e. Altruism